A metastatic carcinoma in the brain of an adult most often comes from a primary in the -
1. Stomach
2. Ovary
3. Oral cavity
4. Lung

Correct answer: 4. Lung

Explanation: answer: D